The best method to show the association between height and weight of children in a class is by
1. Bar chart
2. Line diagram
3. Scatter diagram
4. Histogram

Correct answer: 3. Scatter diagram

Explanation: Ans. is 'c' i.e., Scatter diagram orT Scatter diagram is used for analyzing the relationship between two variables e.g., height and weight.